Green STD kit contains
1. Azithromycin, Cefixime
2. Secnidazole, Fluconazole
3. Acyclovir
4. Azithromycin, Doxycycline

Correct answer: 2. Secnidazole, Fluconazole